New word constructed by a patient or ordinary words used in a special way is called?
1. Tangentially
2. Illusion
3. Neologism
4. loosening of association

Correct answer: 3. Neologism

Explanation: Ans. C. NeologismNeologism: It is a disorder of form of thought. Here either a completely new word/ phrase whose derivation cannot be understood is used by the patient or ordinary words used in special way. Presence of neologism is highly s/o of schizophrenia. E.g. Word "Pravitynat" may be used by a person for spectacles.